HIV C subtype is seen in -
1. India
2. Europe
3. America
4. Thailand

Correct answer: 1. India

Explanation: HIV-C is most common in India. Reference:HIV/AIDS care and counselling by ACV Dyk,4th edition,page no.21.